A person sustains head trauma leading to transaction of pituitary stalk. All can be consequence of this, except
1. SIADH
2. Diabetes mellitus
3. Diabetes insipidus
4. Hyperprolactinemia

Correct answer: 2. Diabetes mellitus

Explanation: Answer is B (Diabetes mellitus): Insulin is a pancreatic hormone, not under the control of pituitary. Transection of the pituitary stalk would therefore in no way affect glucose levels or lead to diabetes mellitus.